Drug used in triple drug therapy of H. Pylori:
1. Metronidazole
2. Erythromycin
3. Ciprofloxacin
4. Aminoglycosides

Correct answer: 1. Metronidazole

Explanation: Ans. A. MetronidazoleH pylori have triple and 4 drug therapy for H. Pylori where 4 antibiotics can be given like amoxicillin, clarithromycin, Metronidazole and tetracycline. Other drugs are PPI like omeprazole and bismuth sub citrate.